Dialectical behaviour therapy is used in the management of which of the following disorder ?
1. Borderline personality disorder
2. Avoidant personality disorder
3. Narcissistic personality disorder
4. Antisocial personality disorder

Correct answer: 1. Borderline personality disorder

Explanation: The mainstay treatment for borderline personality disorders is psychotherapy which includes behavior therapy-dialectical behavior therapy (DBT) -specific for borderline personality disorder. It is used especially for those with parasuicidal behavior, such as frequent cutting. Patients are seen weekly, with the goal of improving interpersonal skills and decreasing self-destructive behavior using techniques involving advice, metaphor, storytelling, and confrontation. Other modalities of treatment include: Mentalization based treatment. Transference focused psychotherapy. Drugs - antipsychotics, antidepressants (SSRI, TCA), and mood stabilizing drugs.